The organism most commonly causing genital filariasis in most part of Bihar and easteran U.P. is:
1. Wuchereria bancrofti
2. Brugia malayi
3. Onchocerca volvulus
4. Dirofilaria

Correct answer: 1. Wuchereria bancrofti

Explanation: Ans. (a)The organism most commonly causing genital filariasis in most part of Bihar and easteran U.P. is Wuchereria bancrofti. It causes lymphangitis, lymphadenitis, filarial fever, hydrocele, elephantiasis.B. malayi causes lymphangitis and elephantiasis. It is characterized by absence of chyluria and rarity of scrotal swellingO. volvulus causes formation of subcutaneous fibrous nodules and ocular lesionsDirofilaria rarely causes human zoonosis.